Gustafson's method used for age estimation of tooth includes all except -
1. Primary dentition
2. Root resorption
3. Root transparency
4. Attrition

Correct answer: 1. Primary dentition

Explanation: Gustafsons method uses attrition, periodontosis, secondary dentin, cementum apposition, root resorption and transparency of root to determine age of adult from dentition. Ref: Dr.Narayana Reddys Synopsis of Forensic Medicine & Toxicology 27th edition pg. 36.